Casoni Test is used to detect infection caused by which of the following organism?
1. Syphilis
2. Toxocariasis
3. Echinococcus granulosus
4. Trichinellosis

Correct answer: 3. Echinococcus granulosus

Explanation: Casoni's test is used in the diagnosis of Hydatid disease, caused by Echinococcus granulosus. In this test, 0.2ml of sterile hydatid fluid is injected intradermally into one arm. This test is considered to be positive if large wheal, 5 cm in diameter with multiple pseudopodia develop in 30 minutes. Other test used to diagnose hydatid disease are: Antigen detection test: Antigen in urine can be detected by counter current immunoelectrophoresis. Antigen in serum can be detected by ELISA, counter current immunoelectrophoresis, co-agglutination test, and latex agglutination test. Detection of antibody: By indirect haemagglutination test, fluorescent antibody test, counter current immunoelectrophoresis, latex agglutination test, ELISA, western blot test. MRI, Ultrasonography and CT scanning readily demonstrate cysts. The most pathognomonic finding, if demonstrable, is the presence of daughter cysts within the larger cyst. Diagnostic aspiration of cystic fluid is not usually recommended because of the risk of fluid leakage resulting in either dissemination of infection or anaphylactic reactions. Ref: Microbiology for Nurses, 2/e By B.S. Nagoba page 261, White, A.C., Weller P.F. (2012). Chapter 220. Cestode Infections. In D.L. Longo, A.S. Fauci, D.L. Kasper, S.L. Hauser, J.L. Jameson, J. Loscalzo (Eds),Harrison's Principles of Internal Medicine, 18e.